While launching a community programme best method of action is –
1. Publicity drive
2. Talk to community leaders
3. Involvement of voluntary agencies
4. Organize lecture

Correct answer: 2. Talk to community leaders

Explanation: Role of leaders 

We learn best from people whom we respect and regard.
In Health education, we try to penetrate the community through the local leaders - the village head man, the school teacher or the political worker.
Leaders are agents of change and they can be made use of health education work.
If the leaders are convinced first about a given programme, the rest of the task of implementing the programme will be easy.